Shape of the arterial pulse is influenced by:
1. Viscosity of blood
2. Velocity of blood
3. Arterial wall expansion
4. Cross sectional area of artery.

Correct answer: 3. Arterial wall expansion

Explanation: C i.e. Arterial wall expansionThe blood forced into the aorta during systole not only moves the blood in the vessels forward but also sets up a pressure wave that travel along the arteries. The pressure wave expends the arterial wallQ as it travels, and expansion is palpable as the pulse.